Wilson's disease is caused by mutation in:
1. ATP7A
2. ATP7B
3. HFE
4. HAMP

Correct answer: 2. ATP7B

Explanation: Wilson disease is an autosomal recessive disorder caused by mutation of the ATP7B gene, resulting in impaired copper excretion into bile and a failure to incorporate copper into ceruloplasmin. Ref: Robbins 8th edition Chapter 18.